Sickle cell anemia is the clinical manifestation of homozygous gene to an abnormal haemoglobin molecule. The event responsible for the mutation in the b chain is:
1. Insertion
2. Deletion
3. Nondisjunction
4. Point mutation

Correct answer: 4. Point mutation

Explanation: D Harper, 26th ed, p. 409, Table (40-6) & 25th ed, p. 500, Table (42.6)